How to test for the long thoracic nerve?
1. Touch the opposite shoulder
2. Shoulder shrug
3. Raise the arm above the head
4. Lift an object from the ground

Correct answer: 3. Raise the arm above the head

Explanation: Long thoracic nerve innervates Serratus anterior. Serratus anterior originates from outer surface of upper 8 ribs and inserts onto inferior angle and medial border of scapula.
Actions
-        It rotates the scapula to help in overhead abduction.
-        Steady the scapula to carry weight.
-        Pushing of arm forward in horizontal position.
-        Helps in forced inspiration.